Polypeptide capsule is seen in
1. Corynebacterium diphtheriae
2. Clostridium welchii
3. Staphylococcus aureus
4. Bacillus anthracis

Correct answer: 4. Bacillus anthracis